Which of these do not produce progesterone
1. Placenta
2. Follicle
3. Endometrium
4. Adrenal cortex

Correct answer: 3. Endometrium

Explanation: Endometrium does not produce progesterone.